Which of the following effects is NOT SEEN in primary hyperaldosteronism (Conn's syndrome)?
1. Hypertension
2. Metabolic Alkalosis
3. Hyperkalemia
4. Expansion of Extracellular and Plasma volume

Correct answer: 3. Hyperkalemia

Explanation: c. Hyperkalemia(Ref: Nelson's 20/e p 2227-2729, Ghai 8/e p 525)Primary aldosteronism encompasses disorders caused by excessive aldosterone secretion independent of the renin angiotensin system. These disorders are characterized by hypertension and hypokalemia.